Inferior angle of scapula is at the level of:
1. T 4
2. T 5
3. T 6
4. T 7

Correct answer: 4. T 7

Explanation: Inferior angle of scapula lies at the level of T 7. Spine of the scapula is at the level of T 3. Root of the spine of the scapula is opposite the spinous process of T3 vertebrae.Superior angle of scapula lies at the level of vertebrae T2.